A neonate continuously regurgitates all feeds and is continuously drooling saliva. Which of the following is the most probable diagnosis?
1. Normal phenomenon
2. Congenital hypertrophic pyloric stenosis
3. Tracheo-esophageal fistula
4. Hirschsprung disease

Correct answer: 3. Tracheo-esophageal fistula

Explanation: Ans. is 'c' i.e., Tracheo-esophageal fistula * Neonates with tracheoesophageal fistula present with frothing, excessive drooling, coughing and cyanosis with feeding. This is followed by respiratory distress. Newborn regurgitates of its first and subsequent feeds.In CHPS,* Pyloric stenosis is usually not present at birth.* Nonbillous vomiting is the initial symptoms of pyloric stenosis.Hirschsprung Disease* There is characteristically delayed passage of meconium. This is followed by bilious vomiting and abdominal distension. Enterocolitis is seen between 2-4 weeks with bloody stools and fever.